A patient with gastric ulcer is prescribed misoprostol. It is an analogue of?
1. PGE1
2. PGE2
3. PGF2a
4. PGI2

Correct answer: 1. PGE1

Explanation: Misoprostol is a synthetic PGE1 analogue. It inhibits gastric acid secretion and exerts mucosal-protective properties. Misoprostol in combination with mifepristone or methotrexate is highly effective in the termination of the early pregnancy. Must know: PGE2 analogue is dinoprostone, PGF2a analogue is carboprost, and PGI2 analogue is beraprost sodium. Ref: Desk Reference of Clinical Pharmacology, Second Edition By Manuchair S. Ebadi, 2008, Page 447; Goodman and Gillman's, 11th edition, Page 626